Mapelson circuit used in children is?
1. Mapelson A
2. Mapelson D
3. Mapelson C
4. Ayers T tube

Correct answer: 4. Ayers T tube

Explanation: ANSWER: (D) Ayers T tubeREF: Morgan's Anesthesia 3R" edition p. 30ANESTHETIC GAS DELIVERY:SPONTANEOUS BREATHINGIPPVPOST OPERATIVEMAPELSON AMapelson-DMapelson-EMapelson C or WATER'SAdultsBain's coaxialAyer's t tubesystemFlow rate- 51/minMeant for infants and childrenFlow rate-2-3 x min. volumeEqual to minute volume